Sibutramine is used for:
1. Hemorrhage
2. Nasal decongestant
3. Diabetes
4. Obesity

Correct answer: 4. Obesity

Explanation: Ans. D: Obesity It is a centrally-acting serotonin-norepinephrine reuptake inhibitor structurally related to amphetamines. Sibutramine is an appetite suppressant that is administered orally for the treatment of obesity. Sibutramine has a number of clinically significant interactions. The concomitant use of sibutramine and monoamine oxidase inhibitors (MAOIs, such as selegiline) is not indicated, as it may increase the risk of serotonin syndrome. Taking both sibutramine and certain medications used in the treatment of migraines--such as ergolines and triptans, as well as opioids, may also increase the risk for serotonin syndrome, as may the use of more than one serotonin reuptake inhibitor at the same time. The concomitant use of sibutramine and drugs which inhibit CYP3A4, such as ketoconazole and erythromycin, may increase plasma levels of sibutramine.